Which is not a cytopathic effect of virus ?
1. Syncytium formation
2. Budding
3. Ballooning and floating
4. Focal degeneration

Correct answer: 2. Budding

Explanation: Ans. is b i.e., Budding Methods of detection of viral growth in cell cultures 1. Cytopathic effect Many viruses causes morphological changes in cultured cells known as cytopathic effect. Examples are: Enterovirus Crenation of cells and degeneration of the entire cell sheet Measles virus Syncytium formation Herpes virus Focal degenration Adenovirus Large granular clump resembling bunches of grapes SV40 Cytoplasmic vacuolation 2. Metabolic Inhibition 3. Hemadsorption - Mainly for influenza and parainfluenza viruses. 4. Interference - Growth of the first virus inhibit the growth of second virus. 5. Transformation - for oncogenic viruses 6. Immunofluoresence - for detection of viral antigen - Give positive results earlier than other methods.